Reverse head gear is used mainly
1. To retract maxilla
2. To induce the growth of maxilla in skeletal retrusion
3. To inhibit growth of mandible in class-III malocclusion
4. To induce growth of mandible in class-III

Correct answer: 2. To induce the growth of maxilla in skeletal retrusion

Explanation: Headgears that cause a forward pull. on maxilla are called reverse pull headgear. Facemask is one of the most common reverse pull headgears in use today.